A 35 year old female presents with lump in the anterior triangle of neck. True about FNAC:
1. FNAC can diagnose follicular carcinoma
2. FNAC can diagnose papillary carcinoma
3. Presence of follicular cells indicate follicular carcinoma
4. FNAC can differentiate follicular carcinoma and adenoma

Correct answer: 2. FNAC can diagnose papillary carcinoma

Explanation: Ans. (b) FNAC can diagnose papillary carcinoma.* FNAC shows typical orphan Annie eyed nuclei, Psammoma bodies in papillary carcinoma* FNAC must not be done in suspected carotid body tumor.* FNAC cannot collect representative tissue in anaplastic carcinoma